Tibial nerve supplies all except
1. Gastrocnemius
2. Plantaris
3. Peroneus longus
4. Tibialis posterior

Correct answer: 3. Peroneus longus

Explanation: TIBIAL NERVE:- Root value:ventral division of ventral rami of L4,L5,S1,S2,S3 segments of spinal cord. Beginning: largest subdivision of sciatic nerve. Course: descends vertically in popliteal fossa. It continues in back of leg as the neurovascular bundle with posterior tibial vessels. Lastly passes deep to flexor retinaculum of ankle joint. Branches: Muscular branches to gastrocnemius,soleus, popliteus, plantaris, FHL, FDL and Tibialis posterior. Articular branches to superior,middle and inferior genicular . Cutaneous and vascular branch: sural nerve ,medial calcaneal branch and branch to posterior tibial artery. Terminates by dividing into medial and lateral plantar nerves. MEDIAL PLANTAR NERVE:- Muscular branches: Abductor hallucis, flexor digitorum brevis, flexor hallucis brevis and first lumbrical. Cutaneous branch: skin of medial part of sole and medial three and a half toes. LATERAL PLANTAR NERVE:- Main trunk: flexor digitorum accessories and abductor digiti minimi and skin of sole. Ends by dividing into superficial and deep branches. Superficial branch: lateral and medial branch Lateral branch:flexor digiti minimi brevis, 3rd plantar, 4th interossei and skin on lateral side of little toe.Medial branch: 4th interdigital cleft. Deep branch:2nd,3rd,4th lumbricals1st,2nd,3rd dorsal interossei 1st,2nd plantar interossei andAdductor hallucis. {Reference: BDC 6E vol2 pg 79}